Methods of contraceptions during lactations are all except -
1. Breast feeding
2. IUD
3. OCPs
4. Minipills

Correct answer: 3. OCPs

Explanation: Ans. is 'c' i.e., OCPs Contraception during lactation Preferred methods of contraception during breast feeding are those that do not interfere with lactation. Methods are : 1. Lactational amenorrhea method (LAM) The probability of pregnancy is very small for first 6-8 months after pregnancy, if the mother is fully breast-feeding her infant, is still amenorrhoeic and the child does not receive additional food. Under these conditions there is only 2% chance of pregnancy. So breast - feeding is a very important and efficient contraceptive method during early puerperium - Reffered to as lactation amenorrhea method. 2. Alternative methods Barrier methods, IUD and progesteron only hormonal methods (minipills, implants, injectables) are the primary contraceptive alternatives during breast feeding. They have no adverse effects on lactation, the condition of the infant or maternal ovarian function. Sterilization is only a good alternative only if the family wants a permanent method of contraception. Combined oral contraceptives (estrogen + progesteron) diminish milk production and therefore are not recommended during lactation.